Lines of Blaschko represent -
1. Dermatomal patterns
2. Epidermal cell migration pathway
3. Vasculature pathways
4. Lymphatic pathways

Correct answer: 2. Epidermal cell migration pathway

Explanation: Ans. is i.e., Epidermal cell migration pathway Blaschko's lineso Blaschko lines or the lines of Blaschko are thought to represent pathways of epidermal cell migration and proliferation during the development of the fetus.o These lines constitute a surface pattern that is distinguished from other morphological lines of the skin and skin dermatomes. They do not correspond to the nervous system or vascular pathwayso Blaschko lines are consistently V-shaped on the upper spine, S-shaped on the abdomen, inverted U-shaped from the breast area to the upper arm, and perpendicular down the front and back of the lower extremitieso They never cross the anterior truncal midline but run along it.